All are indications for stopping offending ATT drug permanently except?
1. Gout
2. Autoimmune Thrombocytopenia
3. Optic neuritis
4. Hepatitis

Correct answer: 4. Hepatitis

Explanation: Hyperuricemia and arthralgia caused by pyrazinamide can usually be managed by the administration of acetylsalicylic acid; however, pyrazinamide treatment should be stopped if the patient develops gouty arthritis. Individuals who develop autoimmune thrombocytopenia secondary to rifampicin therapy should not receive the drug thereafter. Similarly, the occurrence of optic neuritis with ethambutol is an indication for permanent discontinuation of this drug. For patients with symptomatic hepatitis and those with marked (five- to six fold) elevations in serum levels of aspartate aminotransferase, treatment should be stopped and drugs reintroduced one at a time after liver function has returned to normal.